Which of the following is not a fundamental aspect of Disaster management ?
1. Disaster response
2. Disaster mitigation
3. Disaster awakening
4. Disaster preparedness

Correct answer: 3. Disaster awakening

Explanation: There are three fundamental aspects of disaster management: (i) Disaster response; (ii) Disaster preparedness; (iii) Disaster mitigation.